The culture media for fungus is
1. Tellurite medium
2. NNN medium
3. Chocolate agar medium
4. Sabourauds medium

Correct answer: 4. Sabourauds medium

Explanation: Tellurite and chocolate agar are bacterial culture media. NNN media used for culture of the parasite (Leishmania). Reference: Textbook of Microbiology; Baveja; 4th edition